Which among the following is the MOST diagnostic sign of pregnancy?
1. Amenorrhoea
2. Quickening
3. Foetal heart sounds
4. Distention of abdomen

Correct answer: 3. Foetal heart sounds

Explanation: Presence of fetal heart sounds is an absolute diagnostic sign of pregnancy. Other absolute signs of pregnancy are: Palpation of fetal parts and perception of active fetal movements Ultrasonographic evidence of gestational sac and embryo in early pregnancy and later. Probable signs: Change in size, shape and consistency of uterus Softening of cervix Osiander's sign, Chadwick's sign, Goodell sign Abdominal enlargement Braxton Hicks contraction External and internal ballottement Ref: Essential of Obstetrics By Arulkumaran page 39